Staphylococcal food poisoning includes the following feature
1. Incubation period of 24 hrs
2. Requires immediate antibiotics
3. Common with dairy products
4. Heat labile enterotoxin

Correct answer: 3. Common with dairy products

Explanation: Enterotoxin is responsible for the manifestations of staphylococcal food poisoning: nausea, vomiting and diarrhea 2-6 hours after consuming food contaminated by a preformed toxin. About two-thirds of S.aureus strains, growing in carbohydrate and protein foods secrete the toxin. Meat and fish or milk and milk products cooked and left at room temperature after contamination with staphylococci, for enough time for the toxin to accumulate, are the common items responsible. The toxin is relatively heat stable. Ref: Textbook of Microbiology; Ananthanarayan and Paniker's; 10th Edition; Page No: 204